Maximum rise in Prolactin levels is seen with:
1. Clozapine
2. Olanzapine
3. Ziprasidone
4. Risperidone

Correct answer: 4. Risperidone

Explanation: Risperidone is the single most likely Atypical Antipsychotic associated with a high likelihood of inducing Hyperprolactinemia. Amongst the options provided. Maximum rise in Prolactin levels is seen with Risperidone. With the exception of risperidone and paliperidone, atypical antipsychotic agents show limited (olanzapine, ziprasidone) to almost no effects (clozapine) on prolactin secretion. How does Risperidone Lead to Hyperprolactinaemia? Dopamine acts on the pituitary as an inhibitor of prolactin secretion. Blockade of dopamine D2 receptors by atypical antipyschotics most likely to induce hyperprolactinemia. Atypical Antipsychotics: Moderate to High Propensity to induce hyperprolactinemia: Risperidone Paliperidone Paliperidone is a 9-hydroxy active metabolite of risperidone. Little or Limited Propensity to induce hyperprolactinemia: Olanzapine Ziprasidone Quentiapine Asenapine Iloperidone Almost None or No Propensity to induce hyperprolactinemia: Clozapine Aripiprazole Ref: Goodman and Gilman 13th edition Pgno: 284